A patient is presented with a gunshot wound on 4th intercostal space producing pneumothorax. The suction pressure needed for drainage is
1. Less than 5cm H2O
2. 10 cm H2O
3. 20 cm H2O
4. 50 cm H2O

Correct answer: 3. 20 cm H2O

Explanation: Traumatic Pneumothorax Traumatic pneumothoraces can result from penetrating injuries and non penetrating chest trauma. Traumatic pneumothoraces should be treated with tube thoracotomy unless they are very small Iatrogenic pneumothorax is a type of traumatic pneumothorax that is becoming more common Leading cause are transthoracic needle aspiration,thoracocentesis and the insertion of central intravenous catheters Most can be managed with supplemental oxygen or aspiration (presure should be about 20 cmH2O), but if these measures are unsuccessful, a tube thoracostomy should be performed. Ref: Bailey and love 27th edition Pgno : 366